After 3 days of birth, the base of umbilical cord is red and swollen. It indicates ?
1. Normal phenomenon
2. CHF
3. Infection
4. None of the above

Correct answer: 3. Infection

Explanation: Ans. is 'c' i.e., InfectionRedness or edema at the base of umbilical cord indicate inflammatory changes and infection.It is called as omphalitis.